Which of the following metabolic processes occurs exclusively in the mitochondria?
1. Cholesterol synthesis
2. Fatty acid synthesis
3. Gluconeogenesis
4. Ketone body synthesis

Correct answer: 4. Ketone body synthesis

Explanation: Of the processes listed, only ketone body synthesis occurs exclusively in the mitochondria. Other mitochondrial processes include the production of acetyl-CoA, the TCA cycle, the electron transport chain, and fatty acid oxidation. Processes that occur exclusively in the cytoplasm include cholesterol synthesis (in cytosol or in ER), fatty acid synthesis, glycolysis, and the hexose monophosphate shunt. Note that gluconeogenesis and the urea cycle occur in both the mitochondria and the cytoplasm. Ref: Botham K.M., Mayes P.A. (2011). Chapter 22. Oxidation of Fatty Acids: Ketogenesis. In D.A. Bender, K.M. Botham, P.A. Weil, P.J. Kennelly, R.K. Murray, V.W. Rodwell (Eds), Harper's Illustrated Biochemistry, 29e.